Which one of the following is not a symptom of atherosclerotic occlusive disease at the bifurcation of aorta (Leriche syndrome)?
1. Claudication of the buttock and thigh
2. Claudication of the calf
3. Sexual impotence
4. Gangrene localized to the feet

Correct answer: 4. Gangrene localized to the feet

Explanation: . Ans : (d) Gangrene localised to feet In chronic atherosclerotic occlusive disease usually it is confined to distal abdominal aorta below the renal arteries. Frequently extends to iliac arteries . Claudication characteristically involves buttocks , thighs and calves & may associated with impotence in males (Leriche syndrome ) .